Casper's dictum is regarding?
1. Rate of decomposition of body
2. Sequence of appearance of rigor mortis
3. Sequence of disappearance of rigor mortis
4. Sequence of organs that get decomposed after death.

Correct answer: 1. Rate of decomposition of body

Explanation: According to casper's dictum, a body decomposes in air twice as rapidly as in water and 8 times as rapidly as on earth.